You decide not to give sildenafil to patient who is on antianginal drug, which of the following drug it can be?
1. Calcium channel blockers
2. Beta blockers
3. Nitrates
4. ACE inhibitors

Correct answer: 3. Nitrates

Explanation: Ans. C. NitratesNitrates act by increase CGMP and sildenafil decrease the breakdown of this compound. Marked increase in CGMP results in profound hypotension and reflex tachycardia.